Cushing's Triad include all except:
1. Hypertension
2. Bradycardia
3. Hypothermia
4. Irregular respiration

Correct answer: 3. Hypothermia

Explanation: Ans. is 'c' i.e. Hypothermia Cushing's triad consists of Bradycardia Hypertension Irregular respirationCushing's reflex or triad is a special type of CNS ischemic response that results from increased pressure of the cerebrospinal fluid around the brain in the cranial vault.For instance, when intracranial pressure increases the cerebrospinal pressure rises equal to the arterial pressure.This compresses the whole brain as well as the arteries in the brain and cuts off the blood supply to the brain.This initiates a CNS ischemic response that causes the arterial pressure to rise, when the arterial pressure has risen to a level higher than the cerebrospinal fluid pressure, blood flows once again into the vessel of the brain to relieve the ischemia. (Cushing's reflex)Ordinarily, the blood pressure comes to a new equilibrium level slightly higher than the cerebrospinal fluid pressure, thus allowing blood to continue flowing to the brain.The cushing reaction helps to protect the vital centres of the brain from loss of nutrition if ever the CSF pressure rises high enough to compress the cerebral arteries.The rise in the arterial pressure causes a reflex decrease in heart rate via the arterial baroreceptors and this is why bradycardia rather than tachycardia is characteristically seen in patients with increased intracranial pressure.